All of the following are true about Type I DM, Except:
1. Family history is present in 90% of cases
2. Antibodies against 3 ells
3. Prone to Diabetic Ketoacidosis (DKA)
4. Insulin is required for management of DKA

Correct answer: 1. Family history is present in 90% of cases

Explanation: Answer is A (Family history is present in 90% of cases): A strong family history (.90%) is a feature of type II DM and not type I DM. Family history may he present in only about 15% cases of type I DM.